TNF and IL1 are produced by ?
1. Neutrophils
2. Monocytes
3. Lymphocytes
4. Activated Macrophages

Correct answer: 4. Activated Macrophages

Explanation: Ans. is 'd' i.e., Activated Macrophages Tumor Necrosis Factor (TNF) and Interleukin-1 (IL-1) TNF and IL-I serve critical roles in leukocyte recruitment by promoting adhesion of leukocytes to endothelium and their migration through vessels. These cytokines are produced mainly by activated macrophages and dendritic cells; TNF is also produced by T lymphocytes and mast cells, and IL-1 is produced by some epithelial cells as well. The secretion of TNF and IL-1 can be stimulated by microbial products, immune complexes, foreign bodies, physical injury, and a variety of other inflammatory stimuli.